After how many days of ovulation embryo implantation occurs
1. 3-5 days
2. 7-9 days
3. 10-12 days
4. 13-15 days

Correct answer: 2. 7-9 days

Explanation: Implantation is the process by which the blastocyst penetrates the uterine mucosa to get implanted in the endometrium.It starts on 6- 7 day after ovulation. Ref:JB Sharma Obs pg 20.